Sub surface porosity can be decreased by:
1. Decreasing the sprue length
2. Decreasing the sprue thickness
3. Increasing the melting temperature
4. Increasing the mould temperature

Correct answer: 2. Decreasing the sprue thickness